Two regarding use of Bromocriptine for suppression of lactation includes
1. It can cause deep vein thrombosis
2. It can cause hypotension
3. Metaclopramide potentiates the action of Bromocriptine
4. It is given for 1 week only

Correct answer: 2. It can cause hypotension

Explanation: Refer KDT 6/e p236 For suppression of lactation D2 agonists like Bromocriptine can be used In hyoerprolactinemia these are given for long periods Metoclopromide being a D2 antogonist will stop the action of Bromocriptine Adverse effects of Bromocriptine include nausea, vomiting, postural hypotension, digital vasospasm and CNS effects like hallucinations ,psychosis